Miliary mottling seen in – a) TBb) Sarcoidosisc) Silicosisd) P. carinii pneumonia
1. abc
2. bc
3. acd
4. bcd

Correct answer: 1. abc

Explanation: Causes of Miliary mottling :-

Infection :- Bacterial (TB, Brucellosis, Bronchopneumonia, Melioidosis), viral (varicella I chicken pox), Fungal (Histoplasmosis, Coccidiodomycosis, blastomycosis, cryptococcosis).
Cardiac :- Mitral stenosis, Pulmonary edema, multiple pulmonary infarct.
Pneumoconiosis :- Coal worker pneumoconiosis, silicosis.
Neoplastic :- Lymphangitis carcinomatosis, alveolar cell Ca., lymphoma, leukemia, metastasis.
Allergic :- Loeffler's syndrome, tropical eosinophilia.
Others :- IPF, RA, Sarcoidosis, Histocytosis-X, HMD, Haemosiderosis